What is Pottfs puffy tumour
1. Osteosarcoma of the frontal bone
2. Adamantimoma of the mandible
3. Osteomylitis of frontal bone
4. Proliferative aspergillosis of maxillary sinus

Correct answer: 3. Osteomylitis of frontal bone

Explanation: Ans. is 'c' i.e., Osteomylitis of frontal bone Pott's puffy tumouro Pott puffy tumour is a non-neoplastic complication of acute sinusitis characterised by subperiosteal abscess and osteomyelitis, usually related to the frontal sinus but sometimes also related with the mastoid. Forehead swelling is seen, which explains the name of this pathology.o Other rare causes, besides sinusitis, are trauma, intranasal cocaine/methamphetamine abuse and craniotomy.Epidemiologyo Although it may affect patients of any age, it has a higher incidence in adolescence. Since the advent of antibiotics, it is infrequently seen.Pathologyo The infection erodes through the wall of the obstructed infected sinus to form a subperiosteal abscess. As expected it can be associated with extension intracranially with epidural abscess, subdural empyema, meningitis, and cerebral abscess formation. Dural sinus thrombosis is an other possible complication.Treatmento Treatment is typically surgical with drainage of the abscess and IV antibiotics (6 to 8 weeks).